In hemodialysis associated amyloidosis, which of the following is seen-
1. Transthyretin
2. B2 microglobulin
3. a2 microglobulin
4. SAA

Correct answer: 2. B2 microglobulin

Explanation: Robbins basic pathology 9th edition page no 155,green box. Beta 2-Microglobulin, a component of MH class1 molecules and a normal serum protien has been identified as the amyloid fibril subunit in amyloidosis that complicates the course of patients on long term hemodialysis.